A 16 - year old boy presents with acute onset pain in the left testis. The following statements about his management are true except -
1. The patient should be prescribed antibiotics and asked to come after a week
2. Colour flow Doppler will be very useful in diagnosis
3. Scrotal exploration should be done without delay if doppler is not available
4. If left testis is not viable on exploration, patient should undergo left Orchidectomy and right orchidopexy

Correct answer: 1. The patient should be prescribed antibiotics and asked to come after a week